Aspergillus causes all except -
1. Bronchopulmonary allergy
2. Otomycosis
3. Dermatophytosis
4. Keratitis

Correct answer: 3. Dermatophytosis

Explanation: Clinical manifestations of Aspergillus: Pulmonary aspergillosis (MC form) Allergic bronchopulmonary aspergillosis (ABPA) Asthma Extrinsic allergic alveolitis Aspergilloma (fungal ball) and Chronic cavitary pulmonary aspergillosis. Invasive sinusitis, chronic granulomatous sinusitis, maxillary fungal ball and allergic fungal sinusitis. Keratitis, endophthalmitis & Otitis externa. Dermatophytosis (or tinea or ringworm) is the commonest superficial mycoses infecting keratinized tissues caused by - Trichophyton species: Infect skin, hair and nail Microsporum species: Infect skin and hair Epidermophyton species: Infect skin and nail